Which of the following is not seen in humans:
1. Estrous cycle
2. Menstrual cycle
3. Endometrial cycle
4. Ovarian cycle

Correct answer: 1. Estrous cycle

Explanation: A i.e. Estrous cycle- Humans undergo menstrual cycle, ovarian cycle, uterine (endometrial) cycle, uterine cervx cycle, vaginal cycle, anovulatory cycles and cyclic changes in breast, but not an estrous cycleQ.- Mammals other than primates donot menstruate and their sexual cycle is called an estrous (heat) cycleQ. It is named for the conspicuous period of heat (estrus) at the time of ovulation, normally the only time during which sexual interest of female is aroused.FeatureMenstrual cycleEstrous CycleOccurs inMenstruatingNon menstruating mammals inmammals other eluding humans &higher prmatesthan primatesFate ofShed asReabsorbedendometrium, ifconception doesnot occurmenstruation Females areAt any time ofOnly around thesexually aroused &cycle unrelated totime of ovulationreceptivetime of ovulation(i.e. estrous phaseor heat of cycle)